In liver, which of the following is responsible for metabolism of alcohol?
1. Alcohol dehydrogenase (ADH)
2. Aldehyde dehydrogenase (ALDH)
3. Microsomal ethanol-oxidizing system(MEOS)
4. All of the above

Correct answer: 4. All of the above

Explanation: Alcohol is converted to acetaldehyde by alcohol dehydrogenase . Acetaldehyde is converted to acetate by aldehyde dehydrogenase . acetate is converted to carbon dioxide & water . In addition to alcohol dehydrogenase small amount of alcohol are oxidized by hepatic microsomal enzymes as well . Ref KD Tripathi 8th ed.